A reactant generated by neutrophils that plays an important role in bacterial killing is
1. NADPH oxidase
2. Hexose monophosphate shunt
3. G proteins
4. Superoxide anion

Correct answer: 4. Superoxide anion

Explanation: Superoxide anion is generated when oxygen is reduced by cytoplasmic NADPH. The reduction is carried out by the enzyme NADPH oxidase, which is not a reactant but a catalyst activated in cells responding to bacteria.